Thyroid storm after operation is due to:
1. Inadequate control of hyperthyroidism
2. Massive bleeding
3. Recurrent laryngeal nerve injury
4. Postoperative infection

Correct answer: 1. Inadequate control of hyperthyroidism

Explanation: THYROID STORM (THYROTOXIC CRISIS)
→ It is an emergency due to compensated hyperthyroidism.
Treatment
→ Non-selective beta-blocker (Propranolol):

Most valuable measure in thyroid storm.
In thyroid storm, most of the symptoms are because of adrenergic over activity, due to increased tissue sensitivity to catecholamines in hyperthyroidism.
This increased sensitivity is due to increased number of beta receptors.

→ Quick relief is obtained by blocking beta receptors.
→ Propylthiouracil:

Antithyroid drug of choice for thyroid storm.
Reduces hormone synthesis as well as peripheral conversion of T4 to T3.

→ Corticosteroids (Hydrocortisone):

Inhibits both release of thyroid hormone from the gland and peripheral conversion of T4 to T3.

→ Iodides (Potassium iodide to ipanoic acid):

Used to inhibit further hormone release from the gland.

→ Other Measures:

Diltiazem, if tachycardia is not controlled by propranolol alone.
Rehydration, anxiolytics, external cooling and appropriate antibiotics.